When subcondylar fractures on protrusion of mandible it deviates to
1. Same side
2. Opposite side
3. Does not move
4. retrudes

Correct answer: 1. Same side